In which part of Henle loop is tubular fluid hypotonic with plasma/GFR?
1. Thin descending limb
2. Thin ascending segment/limb.
3. Thick ascending segment/limb.
4. Thick descending segment/limb.

Correct answer: 3. Thick ascending segment/limb.

Explanation: Thick ascending segment/limb.REABSORPTION IN THICK ASCENDING LIMB:Water reabsorption:Totally impermeable to water.Ascending segment also referred "Diluting" segment:Due to sodium & solute absorption without water.Resulting in tubular fluid dilution.Hence, Tubular fluid is hypotonic.Sodium, Potassium & Chloride reabsorption:By "Secondary active transport" Through Na2+-K+-2Cl-- carrier transporter.Transports one Na2+, one K+, & two Cl-.Active sodium absorption occurs.30% filtered Na2+ reabsorbed.